Drug of choice in scabies
1. Permethrin
2. Ivermectin
3. Albendazole
4. Flucanazole

Correct answer: 1. Permethrin

Explanation: (A) Permethrin # Creams and lotions for Scabies:> Two most widely used treatments for scabies are permethrin cream and malathion lotion. Permethrin is usually recommended first, and malathion lotion is used if the permethrin cream proves ineffective.> Both medications contain insecticides that kill the scabies mite.